Middle ear infections are known to spread to the brain from all of the following routes except
1. Direct bony Invasion
2. Oval / Round window
3. Hematogenous spread
4. Lymphatic spread

Correct answer: 4. Lymphatic spread

Explanation: Pathways of Spread of infection : Direct bone erosion Venous thrombophlebitis Preformed pathways Ref: Dhingra 7e pg 83.